Compared to the other antidepressant drugs mirtazapine has the distinct ability to act as an antagonist of:
1. Beta receptors
2. D2 receptors
3. Alpha 2 receptors
4. 5-HT receptors

Correct answer: 3. Alpha 2 receptors

Explanation: Mirtazepine is an atypical antidepressant and blocks 5HT2,5HT3, and alpha 2 receptors and enhance the release of NA and 5HT. Ref KD Tripati 8th ed.